Geographic lytic lesions in the vault of the skull with bevelled edges are seen with:
1. Eosinophilic granuloma
2. Multiple myeloma
3. Hyperparathyroidism
4. Reticular cell carcinoma

Correct answer: 1. Eosinophilic granuloma

Explanation: Ans. Eosinophilic granuloma